Which of the following opioid analgesic acts primarily through lc opioid receptors?
1. Pentazocine
2. Methadone
3. Buprenorphine
4. Pethidine

Correct answer: 1. Pentazocine